What is the X-ray view used for optic canal/orbital foramen?
1. Water's view
2. Towne's view
3. Rhese view
4. Caldwell's view

Correct answer: 3. Rhese view

Explanation: RHESEView XRay views for evaluating Orbit : Rhese view is used for Optic Canal Caldwell View is for Superior Orbital fissure Townes View for Inferior Orbital Fissure Waters View for Orbital Floor Caldwell's view Frontal sinus, superior orbital fissure CXR Erect view Pneumoperitoneum Ipsilateral lateral decubitus Minimal pleural effusion Lateral skull view Sella turcica Left anterior oblique Tracheal bifurcation, Aortic window Lordotic view Apex, lingual lobe, Middle lobe pathology Oblique view Spondylolisthesis Odontoid view C1,C2 Reverse lordotic view Interlobar effusion Right anterior oblique Right lung, Left atrium enlargement, Mitral valve Judet View Acetabulum Schullers view Mastoid Air cells Skyline view Patella Stenver's Towne's view Mastoid air cells, Petrous cells, Internal acoustic meatus Stryker's view Hill Sachs Lesions Water's view Maxillary sinus, antrum